The most important step in the treatment of a badly infected episiotomy is :
1. Securing cultures
2. Antibiotics
3. Hot sitz baths
4. Drainage

Correct answer: 4. Drainage

Explanation: Drainage